True regarding anemia of chronic ds. are - A/E :
1. Decreased TIBC
2. Increased macrophage iron in marrow
3. Decrease serum ferritin level
4. Decreased serum iron levels

Correct answer: 3. Decrease serum ferritin level

Explanation: Ans. is 'c' Decreased serum ferritin level Serum ferritin level is increased in patients with anemia of chronic disease.Other laboratory features:Microcytic hypochromic anemiaIncreased Iron stores in bone marrow and macrophagesElevated plasma ferritin levelDecreased serum ironDecreased T1BCDecreased or normal % saturation.